A middle aged female presented with chief complaints of pain and tenderness along the base of thumb. The patient also had a previous history of chronic overuse of wrist. The doctor performed a test on the patient in which the doctor asked the patient to make a fist with the thumb inside and then bend the wrist towards the little finger which elicited pain. Which 2 tendons are involved in the above mentioned condition?
1. Abductor pollicis brevis and Extensor pollicis brevis
2. Abductor pollicis brevis and Extensor pollicis longus
3. Abductor pollicis longus and Extensor pollicis brevis
4. Abductor pollicis longus and Extensor pollicis longus

Correct answer: 3. Abductor pollicis longus and Extensor pollicis brevis

Explanation: In De-quervain's tenosynovitis, anterolateral boundaries of Anatomical snuff box are affected Abductor pollicis longus & extensor pollicis brevis are affected. Finkelstein test It is a provocative test used in diagnostic for De Quervain's tenosynovitis. Makes a fist with the thumb inside. Now ask the patient to bend the wrist toward little finger (ulnar deviation) if ulnar deviation is painful- Finkelstein's test is positive